Wood workers are associated sinus Ca-
1. Adeno Ca
2. Sq. cell Ca
3. Anaplastic Ca
4. Melanoma

Correct answer: 1. Adeno Ca

Explanation: Ans, is 'a' i.e.. Adeno Ca o Paranasal sinus cancer is uncommon and represents only 0.2 to 0.8% of all malignancies,o Cancer of paranasal sinus constitutes 3% of all carcinomas of the aerodigestive tract.o The majority of paranasal sinus malignancies (50-80%) originate within the maxillary sinus antrum. Malignancies rarely occur within the other sinuses and originate in the ethmoid, frontal, and sphenoid sinuses in 10%, l%and 1% respectively.o The cause of parasinus malignancy is unknown. However several risk factors have been associated and therefore it is seen more commonly in people working in hardwood furniture industryt, nickel refining, leather work, and manufacturer of mustard gas.o More than 80% of the malignant tumours are of squamous cell variety. Rest are adenocarcinoma, adenoid cystic carc inoma, melanoma, and various type of sarcomas.o Workers of furniture industry develop adenocarcinoma of the Ethmoidsand upper nasal cavity. While those engaged in Nickel refining get squamous cell and Anaplastic carcinoma.